Heberden node denotes involvement of -
1. Distal inetrphalangeal joint
2. Proximal interpbalangel joint
3. Metacarpophalangeal joint
4. Metatarsophalangeal joint

Correct answer: 1. Distal inetrphalangeal joint

Explanation: Ans. is 'a' i.e., Distal inetrphalangeal joint o In osteoarthritis of hand : Distal interphalangeal joint Heberden s nodeProximal interphalangeal joint Bouchard's node